Transfusion associated graft vs host disease can be prevented by?
1. Irradiation
2. Washing
3. Chemical treatment
4. All of the above

Correct answer: 1. Irradiation

Explanation: Ans. is 'a' i.e., Irradiation * Blood components that contain viable lymphocytes may be irradiated to prevent the proliferation of T-lymphocytes, which is the immediate cause of Transfusion-associated graft-versus-host disease (TA-GVHD).Transfusion-associated graft-versus-host disease (TA-GvHD)* A rare complication of blood transfusion, in which the donor T lymphocytes mount an immune response against the recipient's lymphoid tissue.* Donor lymphocytes are usually identified as foreign and destroyed by the recipient's immune system. However, in situations where the recipient is immunocompromised (inborn immunodeficiency, acquired immunodeficiency, malignancy), or when the donor is homozygous and the recipient is heterozygous for an HLA haplotype (as can occur in directed donations from first-degree relatives), the recipient's immune system is not able to destroy the donor lymphocytes.* The clinical presentation is the same as GvHD occurring in other settings* The only currently effective method to prevent TA-GVHD is gamma irradiation of blood products prior to transfusion